Recent hepatitis infection is best diagnosed by:
1. HBsAg
2. IgG Anti HBe abs
3. Anti HBsAg abs
4. IgM anti HBc abs

Correct answer: 4. IgM anti HBc abs

Explanation: Ans. is 'd' i.e., IgM anti HBc abs(Ref: Ananthanarayan, 9th/e, p. 548 and 8th/e, p. 544)* HBsAg is the first marker to be elevated and Anti HBc.- IgM appears within 1 - 2 weeks after the appearance of HBsAg and lasts for 3 - 6 months.* Diagnostic tests in recent hepatitis B infection are HBsAg detection and HBc.- IgM and overall best is to look out for IgM anti HBc.